Oral combined contraceptive pills contain which one of the following sets of hormones?
1. Ethinyl estradiol, progestogen, and estrone
2. Progestogen and ethinyl estradiol
3. Progestogen and estrone
4. Estrone and ethinyl estradiol

Correct answer: 2. Progestogen and ethinyl estradiol